False about risk factors of stroke Is
1. Diabetes
2. Anemia
3. Alcohol
4. Heart failure

Correct answer: 2. Anemia